Drug for prophylaxis of malaria in chloroquine resistant P.falciparum ?
1. Mefloquine
2. Quinine
3. Halofantrine
4. Artesunate

Correct answer: 1. Mefloquine

Explanation: Ans. is 'a' i.e., Mefloquine Chemoprophylaxis of malaria Chemoprophylaxis is recommended for travellers from non-endemic areas, and as a short term measure for soldiers, police and labour forces serving in highly endemic areas. Chemoprophylaxis should begin a week before arrival in malarious area and continued for at least 4 weeks or preferably 6 weeks after leaving malarious area. Drugs used are : ? Chloroquine - DOC for chemoprophylaxis in chloroquine sensitive P. falciparum areas. Atovaquone/Proguanil - Used in areas with chloroquine or mefloquine resistant P. falciparum. Doxycycline - Used in areas with chloroquine or mefloquine resistant P. falciarum. Mefloquine - Used in areas with chloroquine resistant P. falciparum Hydroxychloroquine - Alternative to chloroquine in areas with chloroquine sensitive P. falciparum